Which is a method to map genes located on a particular locus in a chromosome?
1. Genomic imprinting
2. Segregation analysis
3. Genome wide analysis
4. Linkage analysis

Correct answer: 4. Linkage analysis

Explanation: Linkage analysis is a genetic technique that searches for chromosomal segments that co-segregate with the disease phenotype through families and is the analysis technique that has been used to identify the bulk of lipodystrophy genes.
Genomic imprinting is an inheritance process independent of the classical Mendelian inheritance. It is an epigenetic process that involves DNA methylation and histone methylation without altering the genetic sequence.
Segregation analysis is a statistical technique that attempts to determine if the pattern of phenotypes within families is consistent with the transmission of a major gene for that phenotype.
A genome-wide association study (GWAS) is an approach used in genetics research to associate specific genetic variations with particular diseases. The method involves scanning the genomes from many different people and looking for genetic markers that can be used to predict the presence of a disease.